Which one is not the bad prognostic sign for pancreatitis:
1. TLC > 16000
2. Calcium less than 8 mmom/L
3. Glucose > 200mg%
4. Prothrombin > 2 times the control

Correct answer: 4. Prothrombin > 2 times the control

Explanation: Answer is D (Prothrombin Time > 2 sec) Prothrombin time is not included as an index in Ranson's criteria. It is the.single best answer of choice. TLC > 16,000, Calcium < 8 mmo1/1, Hyperglycemia > 200 mg/dl are all poor prognostic signs for acute pancreatitis in accordance with Ranson's criteria.